A 40 year old man presents to casualty with history of regular and heavy use of alcohol for 10 years and morning drinking for 1 year. The last alcohol intake was 3 days back. There is no history of head injury or seizures. On examination, there is no icterus, sign of hepatic encephalopathy or focal neurological sign. The patient had coarse tremors, visual hallucinations and had disorientation to time. Which of the following is the best medicine to be prescribed for such a patient?
1. Diazepam & Lithium
2. Haloperidol & naltrexone
3. Diazepam & thiamine
4. Naltrexone & dantrolene

Correct answer: 3. Diazepam & thiamine

Explanation: Delirium tremens =Most severe alcohol withdrawal syndrome. =Clinical features: Clouding of consciousness with disorientation to time and place Poor attention and distractibility Visual hallucination and illusions which are often vivid and very frightening Autonomic disturbances like tachycardia, fever, hypertension, sweating and pupillary dilatation Psychomotor agitation and ataxia =Drug of choice is benzodiazepines like diazepam.